‘Hatter’s shakes’ are seen in .... poisoning:
1. Lead
2. Mercury
3. Silver
4. Arsenic

Correct answer: 2. Mercury

Explanation: Mercury poisoning = HgCl2 = Mercuric Chloride = Corrosive sublimate. Acid metallic test, burning pain, vomiting, circulatory collapse. Hatter's shakes(Glass blowers’ shakes), Mercurial Erethism- Anxiety, depression, timidity, Acrodynia, Mercurialentis- brownish deposit of mercury on anterior lens capsule, is bilateral and has no effect on visual acuity.